Pearl index is
1. Failure rate / 1 women years
2. Failure rate/10 women years
3. Failure rate/100 women years
4. Failure rate/1000 women years

Correct answer: 3. Failure rate/100 women years

Explanation: Failure rate/100 women years